Genomic imprinting is seen in:
1. Prader Willi syndrome
2. Marfan syndrome
3. Down syndrome
4. Osteogenesis imperfect

Correct answer: 1. Prader Willi syndrome

Explanation: a. Prader-Willi syndrome(Ref: Nelson's 20/e p 624-626, Ghai 8/e p 637)Genomic imprinting occurs when the phenotypic expression of a gene depends on the parent of originClassic examples: Prader-Willi syndromeQ and Angelman syndromeQ, Beckwith-Wiedemann syndromeQ, Russell- Silver syndromeQ, pseudohypoparathyroidism and neonatal diabetes.